All of the following statements about trientine use in Wilson's disease are true except :
1. It is more potent than penicillamine.
2. It is used as an alternative to penicillamine in non- tolerant patients
3. It should not be administered within 2 hours of iron supplementation.
4. It can cause iron def anemia which is reversible by oral iron supplements

Correct answer: 1. It is more potent than penicillamine.

Explanation: Penicillamine is the most potent chelating agent useful in Wilson's disease.
Trientine is not as potent as penicillamine and was used in patients unable to tolerate penicillamine. However, nowadays, trientine is preferred because of the severe adverse effects of penicillamine.
Trientine causes fewer adverse effects other than mild anemia due to iron deficiency in few patients.
Concomitant administration with iron reduces absorption of both. Thus a minimum gap of two hours should be given between the administration of trientine and iron salts.